Development of hepatic central lobular necrosis secondary to acetaminophen overdose can be prevented effectively by which of the following if given within a few hours after ingestion :
1. N–acetylcysteine
2. Dimercaprol
3. Sodium nitrite
4. Amyl nitrite

Correct answer: 1. N–acetylcysteine